Deformation that is recovered upon removal of an externally applied force or pressure is known as
1. Young's modulus
2. Plastic strain
3. Elastic strain
4. Flexural strain

Correct answer: 3. Elastic strain